How is iodide transported across the placenta
1. Simple diffusion
2. Carrier - mediated process
3. Endocytosis
4. No transport

Correct answer: 2. Carrier - mediated process

Explanation: Iodide is transported by a carrier mediated process and is energy - requiring active process. Placenta indeed concentrates iodide.